Commonest symptom associated with thoracic outlet syndrome is -
1. Intermittent claudication
2. Pain on radial distribution
3. Pain in ulnar distribution
4. Gangrene

Correct answer: 3. Pain in ulnar distribution